Identification of semen is done by:
1. Haemochromogen Test
2. Barberios Test
3. Guaiacum Test.
4. Leuco malachite green test

Correct answer: 2. Barberios Test

Explanation: Ans. (b) Barberios TestRef: The Essentials ofFSM by K.S. Narayan Reddy 31st ed. / 405Ref,: The Essentials of FSM by K.S. Narayan Reddy 31st ed. / 405Tests for Detection ofSeminal Stain (Mnemonic- "Creat Acid Fast Bacilli')* Acid phosphatase test: to detect Aspermia cases* BarberioS test: to detect Spermine (yellow needle shaped spermine picrate)* Creatine phosphokinase test: for old seminal stain* Florence test: choline crystals of semen shows fluoroscence when examined (Rhombotic crystals of choline iodide)* Most specific test for seminal stain: Isoenzyme LDH assay* For dry seminal stain: UV rays used Blood Benzidine test* Best preliminary test as it detects blood present in dilution of 1 in 3 lakhs.* Color produced: Deep Blue* Not used because it is a potential carcinogen.Kastle-Mayer/Phenolpthalein test- color produced is Pink Purple.Microchemical test: based on RBC content of blood.1. Takayama's test: Hb converted to Haemochromogen crystal.# Salmon pink feathery haemochromogen crystals are obtained.2. Teichmann's Haemin crystal test: Hb converted into Hemin/Hematin crystals.# Brown rhombic haemic crystal are seen3. Spectroscopic test: Most specific/confirmatory method for blood stain test4. Thin layer chromatography (TLC)5. ElectrophoresisNOTE: Test to distinguish human vs. animal blood- Precipitin Test,